Waxy fkexibility is characteristic of:
1. Excitatory catatonia
2. Stuporous cataonia
3. OCD
4. All

Correct answer: 2. Stuporous cataonia

Explanation: B. i.e. Stuporous catatonia